which of the following is a NaSSa
1. mirtazapine
2. clozapine
3. nefazadone
4. sertaline

Correct answer: 1. mirtazapine

Explanation: NaSSA * IMPORTANCE Nor adrenergic and specific serotonergic antidepressant * MECHANISM * Alpha 2 adrenergic receptor antagonism=== increase serotonin and NA * 5HT2,3 antagonist============increase sleep and appetite * DRUGS mirtazapine * USE Elderly with depression * SIDE EFFECTS hyperlipidemia ref. kaplon and sadock, synopsis of psychiatry, 11 th edition, pg no. 955